Zinc deficiency is characterized by
1. All of the below
2. Poor growth
3. Poor wound healing
4. Sexual infantilism

Correct answer: 1. All of the below